Which of the following is ultra short acting benzodiazepine?
1. Midazolam
2. Remimazolam
3. Diazepam
4. Lorazepam

Correct answer: 2. Remimazolam

Explanation: Remimazolam Faster acting and shorter lasting than midazolam, Used for induction of anaesthesia and conscious sedation for minor invasive procedures. Rapidly metabolized to an inactive metabolite by tissue esterases and is not metabolized by cytochrome-dependent hepatic pathways.